For refraction in a hypermetropic child, which is the best drug -
1. Phenylephrine
2. Atropine ointment
3. Atropine drops
4. Homatropine

Correct answer: 2. Atropine ointment

Explanation: Ans. (b) Atropine ointmentRef: Parson's 22/e, p. 79Atropine ointment (1%) is the cycloplegic of choice for refraction in a young child.